ESI act does not cover which of the following:
1. Hotel employee
2. Transpoters
3. Railway employees
4. Factory employees

Correct answer: 3. Railway employees

Explanation: Ans. C: Railway employees This act covers all employees including engaged through the contracts but whose remuneration does not exceed Rs. 10, 000 p.m. including staff in the class of administrative, canteen, loading-unloading, security, etc. Apprentices who are appointed for learning the work with no right of being absorbed in service, do not come with the ambit of this act.